Loss of pulmonary surfactant in premature infant ?
1. Pulmonary edema
2. Collapse of alveoli
3. Elastic recoil of lungs
4. All

Correct answer: 4. All

Explanation: Ans. is 'a' i.e., Pulmonary edema; 'b' i.e., Collapse of alveoli & 'c' i.e., Elastic recoil of lungs Effects of surfactant deficiency o Decreased compliance Increased elastic recoil o Atelectasis o Interstitial edema o Hyaline membrane formation